Strawberry gingivitis seen in
1. Myelocytic infiltration
2. Phenytoin toxicity
3. Wegner granulomatosis
4. Klipel renaunay syndrome

Correct answer: 3. Wegner granulomatosis

Explanation: Wegener's granulomatosis is a rare multi-system disease characterized by the classic triad of necrotizing granulomas affecting the upper and lower respiratory tracts, disseminated vasculitis and glomerulonephritis. Oral lesions as a presenting feature are only encountered in 2% of these cases. Hyperplastic gingival lesions or strawberry gingivitis, is a characteristic sign of Wegener's granulomatosis. The latter consists of reddish-purple exophytic gingival swellings with petechial haemorrhages thus resembling strawberries. Recognition of this feature is of utmost importance for timely diagnosis and definitive management of this potentially fatal disease. Ref - pubmed.com